An Erich arch bar may be used as all of these except?
1. As a bar for intermaxillary fixation
2. As a splint for mobile dentoalveolar segment
3. As a compression band
4. As a tension band

Correct answer: 3. As a compression band

Explanation: Apart from the first two obvious uses of an Eric arch bar, it is also used as a tension band on the superior border of mandible when additional fixation is required, like while using a DCP etc.